Most common cause of bleeding per rectum is
1. Hemorrhoids
2. Fissure in ano
3. Diarrhea
4. Rectal polyp

Correct answer: 1. Hemorrhoids

Explanation: Most common cause of bleeding per rectum is - hemorrhoids.
Most common cause of bleeding per rectum in children is - polyps.